All of the following statements about sodium fluoride in otosclerosis are true, except -
1. Acts by inhibiting proteolytic enzymes in cochlea
2. Acts by inhibiting osteoblastic activity
3. Is contraindicated in chronic nephritis
4. is indicated in patients with a positive schwartze sign

Correct answer: 2. Acts by inhibiting osteoblastic activity